Increase in MCHC is associated with
1. Iron deficiency anemia
2. Megaloblastic anemia
3. Anemia of chronic disease
4. Hereditary spherocystosis

Correct answer: 4. Hereditary spherocystosis

Explanation: Ans is 'd' i.e. Hereditary spherocystosis Mean cell hemoglobin concentration (MCHC) is the average concentration of hemoglobin in a given volume of packed red blood cells, expressed in grams per deciliter. Normal value is 33-37 gm/dlMCHC is increased in hereditary spherocytosis, not because of increased hemoglobin, but due to decerase volume of spherocytes.MCHC is decreased in microcytic hypochromic anemia(iron deficiency anemia & anemia of chronic disease).MCHC remains normal in megaloblastic anemia.